Which of the following is characteristic of saliva?
1. Hypotonicity relative to plasma
2. A lower HCO3- concentration than plasma
3. The presence of proteases
4. Secretion rate that is increased by vagotomy

Correct answer: 1. Hypotonicity relative to plasma

Explanation: Saliva is characterized by: Hypotonicity High HCO3- concentration (relative to plasma) because of secretion of HCO3- into saliva by the ductal cells. Presence of a-amylase and lingual lipase (not proteases) Because control of saliva production is parasympathetic, it is abolished by vagotomy.